A case of Gestational trophoblastic neoplasia belongs to high risk group if disease develops after
1. Hydatidiform mole
2. Full term pregnancy
3. Spontaneous
4. Ectopic pregnancy abortion

Correct answer: 2. Full term pregnancy

Explanation: WHO SCORING FOR GESTATIONAL TROPHOBLASTIC DISEASE (Score > 6 is high risk) PROGNOSTIC SCORING 0 1 2 4 1. Age <=39 >39 2. Antecedent pregnancy mole abortion term pregnancy 3. Interval (pregnancy and start of CT) <4 4-6 7-12 >12 4. Hcg <10,000 1000 - 10,000 10,000 - 1 lakh >1 lakh 5. Blood group O or A B or AB 6. Largest tumor size <3 3-5 >5 7. Site of metastasis spleen, kidney GIT Brain, liver 8. No. of metastasis 1-3 4-8 >8 9. Prior chemotherapy 1 drug >=2 drugs